All are true about Primary sclerosing cholangitis except
1. Associated with ulcerative colitis
2. Predisposition to cholangiocarcinoma
3. Predisposition gallbladder cancer
4. Most common presentation is jaundice

Correct answer: 4. Most common presentation is jaundice

Explanation: Primary sclerosing cholangitisThis condition often presents in young adults with mild non-specific symptoms, and biliary disease is suggested by the finding of abnormal liver function tests. Rarely, the first presentation is with jaundice due to biliary obstruction.Although the aetiology is unknown, a genetic predisposition is likely, owing to its association with ulcerative colitis (UC). In patients with primary sclerosing cholangitis (PSC) and UC, the condition usually progresses even if the diseased colon is removed.There is a strong predisposition to cholangiocarcinoma (CCA) and gallbladder cancerRef: Bailey and love 27e pg: 1167